A 25-year-old IV drug abuser presents with fever for 3 weeks. ECHO shows tricuspid vegetation. The most likely organism associated with endocarditis in this case is:
1. Staph. aureus
2. Candida albicans
3. Pseudomona
4. Strep. viridans

Correct answer: 1. Staph. aureus

Explanation: Ans. (a) Staph. aureus Endocarditis in IV drugs addicts Right sided (more common) Left sided Staph. aureus Varied (Stapti, aureus, enterobacter, polymicrobial)